16-year-old boy had a flea bite while working in a wheat grain godown. After 4 days he developed fever and had axillary lymphadenopathy. The stain used for smear preparation is ?
1. Albert staining
2. Ziehl Neelson staining
3. McFadyean’s staining
4. Wayson staining

Correct answer: 4. Wayson staining

Explanation: • This is a case of plague—Working in godown (rats commonly found)
• H/o flea bite, In patient 5 days, fever and lymphadenopathy.
• Wayson stain a polychromatic stain-Y. Pestis can be best demonstrated (other is Giemsa)
• Bipolar staining or safety pin appearance seen.
•Albert stain use for C. diptheriae
• Z-N stain use for M. tuberculosis and other acid fast bacteria
• Mc Fayden reaction used for B. anthracis